The commonest cause of hoarseness of voice in elderly man of more than 3 months duration-
1. Cancer larynx
2. Chronic bronchitis
3. Acute laryngitis
4. Nodular goitre

Correct answer: 1. Cancer larynx